All are true about thiopentone except –
1. NaHCO3 is a preservative
2. Contraindicated in porphyria
3. Agent of choice in shock
4. Has cerebroprotective action

Correct answer: 3. Agent of choice in shock

Explanation: Thiopentone causes hypotension → contraindicated in shock & hypotensive states.